Oesophageal atresia may occur as a part of VACTER group of anomalies. What does 'TB' stand for ?
1. Tetralogy of Fallot
2. Thoracic empyema
3. Tracheo–oesophageal fistula
4. Talipes equinovarus

Correct answer: 3. Tracheo–oesophageal fistula